Cortical area controlling vestibular function is located in -
1. Frontal lobe
2. Parietal lobe
3. Occipital lobe
4. All of the above

Correct answer: 2. Parietal lobe

Explanation: Ans. is 'b' i.e., Parietal lobe * Information from the vestibular nuclei also reaches the cerebral cortex by way of the thalamus (probably via posterior parts of the ventroposterior complex and the medial pulvinar). The primary vestibular cortical area is located in the parietal lobe at the junction between the intraparietal and the postcentral sulcus, which is adjacent to that portion of the postcentral gyrus where the head is represented. There may be in additional representation of the vestibular system in the superior temporal gyrus near the auditory cortex.